Juvenile idiopathic ahriis includes all except:
1. Psoriatic arthritis
2. Enthesis-related arthritis
3. Systemic arthritis
4. Reactive arthritis

Correct answer: 4. Reactive arthritis

Explanation: Reactive arthritis is not included in Juvenile Idiopathic arthritis: Classification of Juvenile Idiopathic arthritis (JIA) Oligoarthritis (4 or lesser joints) (Most common type) Polyarthritis (5 or more joints) Systemic JIA Psoriatic arthritis Enthesis-related arthritis Ref: Nelson textbook of pediatrics 21st edition Pgno: 1259